All are polyunsaturated fatty acids except:
1. Linoleic acid
2. Linolenic acid
3. Palmitic acid
4. Arachidonic acid

Correct answer: 3. Palmitic acid

Explanation: Ans: C (Palmitic acid) Ref: Harper 's Illustrated Biochemistry, 29th edition. Pgl42Explanation:Palmitic acid is 16 carbon containing saturated fatty acid.All human cells can synthesize palmitic acid from acetyl coA.Linoleic and linolenic acid are the nutritionally essential fatty acids.Arachidonic acid is semi-essential FA. if we take enough of essential fatty acids arachidonic acid can be synthesized in our body, or else this also becomes essential.1. Arachidonic acid is a PUFA but arachidic acid is saturated FA. Both contain 20 carbons.2. Active fatty acid is called as acyl coA and active acetate is called as acetyl coA.3. Eicosonoids are 20 carbon containing physiologically active compounds synthesized from arachidonic acid.